"Farmer's Lung" is due to inhalation of -
1. Cotton fiber
2. Sugarcane fiber
3. Hay dust
4. Coal dust

Correct answer: 3. Hay dust

Explanation: - farmers lungs is due to the inhalation of mouldy or hay dust. - micropolyspora faeni is the main cause of farmer's lung. - repeated attacks cause pulmonary fibrosis, inevitable pulmonary damage and cor pulmonale. Reference: Park's textbook of preventive and social medicine, 23rd edition, pg no:807